All are components of basal ganglia except-
1. Thalamus
2. Amygdaloid nucleus
3. Substantia nigra
4. Globus pallidus

Correct answer: 1. Thalamus

Explanation: Basal ganglia-Structural components Functional components- Caudate Putamen Globus pallidus Amygdaloid nucleus Sub thalamic nucleus Substantia nigra